Phase of the Cell cycle which is most sensitive to radiation
1. G,S
2. GI, G2
3. G,M
4. GO, G1DEXA scan

Correct answer: 3. G,M

Explanation: Ans. c. G2M